In Bishop's score all are included except :
1. Effacement of cervix
2. Dilatation of cervix
3. Station of head
4. Interspinal diameter

Correct answer: 4. Interspinal diameter

Explanation: Bishop's score is a quantitative prediction of successful induction of labour. It includes Cervical dilatation Cervical position Cervical effacement Head station Cervical consistency. Ref: Williams Obs 23e pg 502.